Tumour in cheek with 3 cm size with contralateral mobile lymph nodes comes under:
1. T3N2M0
2. T2N2M0
3. T4N2M0
4. T3N3M0

Correct answer: 2. T2N2M0

Explanation: (b) T2 N2 M0 (Ref. Cummings, 6th ed., 1369)AJC Staging of Oral Cavity CarcinomaT1 Tumours <= 2cm and <=5mm depth of invasionT2 Tumours 2cm and up till 4cm and 10mm depth or Tumours <=2cm and 5, 10mm depth of invasionT3 Tumours 4cm or 10mm depth of invasionT4a Locally advanced disease (tumour may involve mandible, hard palate, muscles of tongue, maxillary sinus, skin of face, medial pterygoid muscle)T4b Very advanced disease, tumour invades lateral pterygoid muscle, pterygoid plates, masticator space, skull base and /or internal carotid artery N0 No cervical lymph nodesN1 Single ipsilateral node <=3cm without Extra Nodal Extension (ENE-ve)N2 Single ipsilateral node 3-6cm (N2a ), multiple ipsilateral (N2b ), contralateral or bilateral nodes (N2c ), <=6cm. All without Extra Nodal ExtensionN3a Single or multiple nodes 6cm without Extra Nodal ExtensionN3b Single or multiple nodes with Extra Nodal Extension (ENE+)M0 No metastasisM1 Distant metastatis